During 3rd month of gestation, hematopoiesis occurs in
1. Liver
2. Thymus
3. Spleen
4. Bone marrow

Correct answer: 1. Liver

Explanation: From 3rd month of gestation liver and spleen become main site of hematopoiesis-Hepatic phaseSpleen makes smaller contribution compared to liverRef: Medical Physiology Indu Khurana 2015 edition page No:104